Maximum prostaglandin concentration is seen in -
1. Seminal fluid
2. Amniotic fluid
3. Tear
4. Saliva

Correct answer: 1. Seminal fluid

Explanation: Ans. is 'a' i.e., Seminal fluid o Prostglandins in semen are in high concentration.COMPOSITION OF HUMAN SEMENPhysical characterSeminal Vesicle secretions(contributes 60% of total volume)From prostate(20% of volume)Bufferso Colour: white, opalescento Specific gravity: 1-028o Ph: 7 35-7-50o Sperm-count: ~ 100 miilion/mL with fewer than 20% abnormal formo Contain hyaluronidaseo Fructose (1[?]5-6[?]5 mg/ml)o Flavinso Ergothioneneo Ascorbic acido Phosphotyl cholineo Prostaglandinso Spermineo Citric acido Cholesterolo Phospholipidso Fibrinolysino Zinco Acid phosphataseo Phosphateo Bicarbonate